In a normal curve, the area of one standard deviation around the mean includes which of the following per cent of values in a distribution -
1. 48.60%
2. 68.30%
3. 95.40%
4. 99.70%

Correct answer: 2. 68.30%

Explanation: Ans. is 'b' i.e., 68.3%